Most common side effect of Beta 2-agonists is
1. Palpitations
2. Hyperglycemia
3. Tremors
4. Hyperkalemia

Correct answer: 3. Tremors

Explanation: Tremor: Most common side effect of Beta 2 agonists.